Which drug can cause macular toxicity when given intravitreally?
1. Gentamicin
2. Vancomycin
3. Dexamethasone
4. Ceftazidime

Correct answer: 1. Gentamicin

Explanation: A i.e. Gentamycin Treatment Plan of Endophthalmitis Treatment should not be delayed if endophthalmitis is suspected in the setting of penetrating trauma. Generally introcular antibiotics are used together with systemic and topical treatment. Broad spectrum coverage such as Vancomycin plus Cetazidine or an aminoglycoside antibiotic, is suggested and treatment should cover Bacillus species (Vancomycin &/or clindamycin) which are found in association with penetrating trauma with relatively high frequency. Ceftazidine provides an alternative to gentamycin injection, which can be associated with toxicity because of macular infarction.Q The use of intraocular corticosteroid injection is controversial & probably should not be used if fungal infection is suspected. Vitrectomy may play a therapeutic role as it debrides the vitreous abscess.